All of the following conditions cause SIADH, except
1. Lung abscess
2. Thymoma
3. Ca pancreas
4. Interstitial nephritis

Correct answer: 4. Interstitial nephritis

Explanation: Lung abcess, thymoma and pancreatic cancer are all associated with SIADH. SIADH is a state of pathologic hormone excess in the presence of hyponatremia and hypo osmolality. Laboratory features of SIADH includes reduced plasma osmolality, persistent urinary secretion of sodium (20mEq/L), and inappropriately high urine osmolality.